Umbilical cord has?
1. 2 artery and 1 vein
2. 1 artery and 2 vein
3. 2 artery and 2 vein
4. Only one artery

Correct answer: 1. 2 artery and 1 vein

Explanation: A i.e. 2 artery and 1 veinInitially in embryo there are 4 vessels - 2 umbilical arteries & 2 umbilical vein. The arteries carry venous blood from fetus to placenta & veins carry oxygenated blood from placenta to embryo.At 4 months right umbilican vein disappears i.e. left umbilical vein is leftQ. So after 4 months umbilical cord contains 2 arteries & left umbilical veinQA Single umbilical artery is present in 1% cases; more commonly in twins & babies born to diabetic mothersQ. It is frequently associated with congenital malformation of fetus (renal abnormalities)QAfter birth left umbilical vein forms ligamentum teres hepatisQ & ductus venosus form ligamentum venosum.